Endoscopes are best sterilized by:
1. Boiling
2. Autoclave
3. Lysol solution 20%
4. Cidex solution

Correct answer: 4. Cidex solution

Explanation: Ans. D: Cidex solution High-level disinfectants are sporicidal, bactericidal, virucidal, and fungicidal agents that remove most bioburden, with the exception of some spores. Commercial preparations of glutaraldehyde are available in both alkaline and acidic formulations. Although the slightly acidic preparations appear to be safe for endoscopic instrumentation, alkaline preparations are more common. The solutions are available in 2.4% or 3.5% concentrations. The 2.4% concentrations without surfactants are the recommended solutions for endoscopic instruments. Surfactants serve as wetting agents to reduce surface tension and allow the disinfecting solution to penetrate areas that water is unable to reach. However, surfactants may leave a residue that is electrically conductive, difficult to rinse off, and may prohibit small joints from moving freely Cidex is Activated Dialdehyde Solution (glutaraldehyde 2.4%)